Pre-auricular sulcus helps in detection of:
1. Age
2. Sex
3. Race
4. Height

Correct answer: 2. Sex

Explanation: B i.e. Sex